Middle cerebellar peduncle contains mainly which tract
1. Spinocerebellar
2. Olivocerebellar
3. Cuneocerebellar
4. Pontocerebellar

Correct answer: 4. Pontocerebellar

Explanation: BD CHAURASIA S HUMAN ANATOMY Sixth edition Vol 3 Pg 405 Table 26.1 Middle cerebellar peduncle contains Ponto cerebellar part of the cortico Ponto cerebellar pathway